Telefono is...
1. Beating the soles of feet with rod
2. Beating of the ears
3. Forced immersion of head until stage of suffocation
4. Tying of a plastic bag over head.

Correct answer: 2. Beating of the ears

Explanation: Beating of the ears These are all methods of torture Telefono is slapping on the sides of the head over ears by open palms. This may cause rupture of the ear drum. Falanga - is beating on the soles of the feet by canes or rods. Wet submarino (Latino) - forced immersion of head in water often contaminated with urine or faeces. Dry subnzarino - tying of a plastic bag over the head up to the point of suffocation. Cattle prod - electric shock are given using high voltage current. Black slave - heated metal skewer inserted into the anus.